Type III Dental gypsum is
1. Class II stone
2. Densite
3. Class I stone or hydrocal
4. Model or lab plaster

Correct answer: 3. Class I stone or hydrocal

Explanation: Type 3 OR dental stone, model
Synonym  Class I stone or Hydrocal 
Uses
For preparing master casts and to make molds.